Bibasilar Velcro crackles occur in ?
1. Acute pulmonary oedema
2. Acute bronchopneumonia
3. Pulmonary fibrosis
4. Pulmonary embolism

Correct answer: 3. Pulmonary fibrosis